Which part of brain shows consistent changes in heat stroke
1. Cerebral cortex
2. Hippocampus
3. Midbrain
4. purkinje cells

Correct answer: 4. purkinje cells

Explanation: Purkinje cells of Cerebellum shows complete disintegration.